Mesial temporal lobe epilepsy is associated with
1. Simple partial
2. Generalised Tonic Clonic
3. Complex partial
4. Atonic seizures

Correct answer: 3. Complex partial

Explanation: harrison's principle of internal medicine 17th edition *mesial temporal lobe epilepsy is the most common syndrome associated with complex partial seizures Mesial temporal lobe epilepsy (MTLE) involves the medial or internal structures of the temporal lobe. Seizures often begin in a structure of the brain called the hippocampus or surrounding area. MTLE accounts for almost 80% of all temporal lobe seizures